Type I thyroplasty is for
1. Vocal cord Medialization
2. Vocal cord Lateralization
3. Vocal cord shortening
4. Vocal cord lengthening

Correct answer: 1. Vocal cord Medialization

Explanation: Type I Thyroplasty It is the most commonly used surgical procedure to correct unilateral vocal cord paralysis (a condition where the vocal cord of one side is paralysed). Procedure In this type of thyroplasty, a rectangular portion of the thyroid cartilage is mobilized and pushed towards the medial side using a piece of silastic block of proper shape under local anesthesia. Earlier, the piece of the thyroid cartilage was kept along with implant and the stitches were taken, but nowadays, the piece of the thyroid cartilage is cut and removed to avoid complications. Ref : https://en.m.wikipedia.org/wiki/Thyroplasty